Hemolysis is predominantly intravascular in which of the following conditions?
1. Warm-type autoimmune hemolytic anemia
2. PNH
3. Cold-type autoimmune hemolytic anemia
4. Hereditary spherocytosis

Correct answer: 2. PNH

Explanation: - Intravascular hemolysis (predominant) is seen in: Paroxysmal nocturnal hemoglobinuria (PNH) G6PD deficiency Paroxysmal cold hemoglobinuria (Cold hemolysin disease) - Extravascular hemolysis (predominant) is seen in: Hereditary spherocytosis Warm-type autoimmune hemolytic anemia Cold agglutinin disease (Cold-type AIHA) Sickle cell disease